Cranial part of accessory nerve supplies which of the following -
1. Sternocleidomastoid
2. Trapezius
3. Levator scapulae
4. Levator palatini

Correct answer: 4. Levator palatini

Explanation: Ans. is 'd' i.e., Levator palitini o Follow ing are the 2 parts of the accessory nerve with their distribution: I Spinal part 1 Sternocleidomastoid 2. Trapezius IICranial part Muscles of the pharynx except stylopharyngeus which is supplied by the glossopharyngeal nerve Muscles of the palate except tensor veli palatini which is supplied by the mandibular division of the trigeminal nerve. o All muscles of the tongue are supplied by the hypoglossal nerve except palatoglossus which is supplied by the accessory nerve. Palatoglossus, levator palati, palatophraygneus, uvula are supplied by cranial part of accessory nerve through the pharyngeal branch of the vagus nerve (CN X) .